Which of the following condition is associated with posterior staphyloma ?
1. Pathological myopia
2. Uveoscleritis
3. Pseudocornea
4. Angle closure glaucoma

Correct answer: 1. Pathological myopia

Explanation: Staphyloma refers to localised bulging of weak and thin outer tunic of eyeball (cornea and sclera) lined by uveal tissue which shines through the thinned outer fibrous coat. Posterior staphylomas develop in eyes with myopia more than -8 D. Buphthalmos is associated with ciliary as well as equatorial staphylomas.